The mental foramen which appears as a radiolucency and can be mistaken for a periapicat pathology lies close to the apex of which tooth:
1. Mandibular 1st molar
2. Maxillary 1st molar
3. Mandibular 2nd premolar
4. Mandibular canine

Correct answer: 3. Mandibular 2nd premolar